Which can be used as an Emergency contraceptive?
1. DMPA
2. Spermicidal jelly
3. Copper-T
4. Today

Correct answer: 3. Copper-T

Explanation: Ans: c (Copper-T) Ref: Park, 19th ed, p. 394Copper-T is an effective post coital contraceptive, if inserted within 3-5 days of unprotected intercourse.DMPA- is an injectable contraceptive containing a progesterone. It acts by suppressing ovulation and it has no role in emergency contraception.Today- is a type of barrier contraception. It is a vaginal sponge saturated with spermicide nonoxynol-9. It cannot be used in emergency contraception.Spermicidal jelly- is chemical method of barrier contraception.